Which one of the following describes the flavouring substance asafoetida (Hing)?
1. Dried leaf extract
2. Exudate from chopped roots
3. Pith of stem boiled and dried
4. Dried and hardened paste of fruit

Correct answer: 2. Exudate from chopped roots

Explanation: Asafoetida is a plant that has a bad smell and tastes bitter. It is sometimes called "devil's dung." People use asafoetida resin, a gum-like material, as medicine. Asafoetida resin is produced by solidifying juice that comes out of cuts made in the plant's living roots. Ref: Internet